Hormonal contraceptive of choice in a lactating woman is
1. Combine pill
2. Multiphastic pill
3. Progesterone only pill
4. Centhroman

Correct answer: 3. Progesterone only pill

Explanation: Progestogen-only pill (POP) This pill is commonly referred to as "minipill" or "micropill". It contains only progestogen, which is given in small doses throughout the cycle. The commonly used progestogens are norethisterone and levonorgestrel. The progestogen-only pills never gained widespread use because of poor cycle control and an increased pregnancy rate. However, they have a definite place in modern- day contraception. They could be prescribed to older women for whom the combined pill is contraindicated because of cardiovascular risks. They may also be considered in young women with risk factors for neoplasia. The evidence that the progestogens may lower the high-density lipoproteins may be of some concern. Ref : Park 25th edition Pgno : 535